Dicyclomine is a
1. Cholinergic drug
2. Adrenergic drug
3. Anticholnergic drug
4. Anti adrenergic drug

Correct answer: 3. Anticholnergic drug

Explanation: Dicyclomine is an antispasmodic anticholinergic drug used in various spasms also in dysmenorrheal .meftal spas contains dicyclomine along with mefenamic acid Ref: KDT 6th ed pg 104